The discoloured corroded superficial layer frequently seen to the surface of amalgam restoration is most likely:
1. Mercury
2. A sulfide
3. Gamma 2
4. Copper oxide

Correct answer: 2. A sulfide